Insulin dependent glucose uptake is not seen in ?
1. Skeletal muscles
2. Heart
3. Adipose tissue
4. Kidney

Correct answer: 4. Kidney

Explanation: Insulin dependent glucose uptake is through GLUT-4 and is seen in :? 1) Skeletal muscles 2) Cardiac muscles (heart) 3) Adipose tissue